Which among the following is the commonest benign tumor of liver?
1. Hepatoma
2. Fibrolamellar carcinoma
3. Metastatic nodules
4. Hemangioma

Correct answer: 4. Hemangioma

Explanation: Hemangiomas: These are the most common type of benign liver tumor. They start in blood vessels. Most of these tumors do not cause symptoms and do not need treatment. Hepatocellular carcinoma is the most common primary malignant tumor of the liver and has a relatively low 5-year survival rate. Fibrolamellar carcinoma (FLC) has conventionally been considered to be a histologic variant of hepatocellular carcinoma (HCC). The liver is the second most commonly involved organ by metastatic disease. Types of metastases (1) Nodular metastases are the most common type and occur with all tumors capable of metastasizing to the liver, including lymphoma. (2) Diffuse metastases most frequently occur with lymphomas. Breast cancer, small cell lung cancer, poorly differentiated GI tumors. Hemangiomas may be mistaken for metastatic tumors and shouldn't be blindly biopsied.